Which of the following is not true about Boerhaave syndrome?
1. Perforation of the esophagus due to barotrauma
2. Most common site is left posteromedial aspect 3-5 cms above the gastroesophageal junction
3. Pain is the principal early manifestation
4. Most coses follow a bout of heavy eating or drinking

Correct answer: 2. Most common site is left posteromedial aspect 3-5 cms above the gastroesophageal junction

Explanation: Ans. is 'b' i.e., Most common site is left posteromedial aspect 3-5 cms above the gastroesophageal junction * Boerhaave's syndrome is spontaneous perforation of the esophagus, occuring usually due tosevere barotrauma when a person vomits against a closed glottis. The pressure in the esophagus rapidly increases and the esophagus bursts at its weakest point, sending a stream of material into the mediastinum and often the pleural cavity as well.* Most common location of perforation is in the left posterolateral aspect 3-5 cm above the gastroesophageal junction. Second most common site of perforation is at the midthoracic esophagus on the right side.* Most cases follow a bout of heavy eating and drinking.* The principal early manifestation is pain felt in the chest and upper abdomen.